The re-evaluation of a case of acute flaccid paralysis for residual paralysis for the purpose of AFP surveillance is done after how many days
1. 60 days
2. 90 days
3. 6 months
4. 1 year

Correct answer: 1. 60 days

Explanation: Ans. a. 60 days